Sign of shock is-
1. Hypotension
2. Bradycardia
3. Polyuria
4. Chest pain

Correct answer: 1. Hypotension

Explanation: Signs and symptoms of shock vary depending on circumstances and may include: Cool, clammy skin Pale or ashen skin Bluish tinge to lips or fingernails (or gray in the case of dark complexions) Rapid pulse Rapid breathing Nausea or vomiting Enlarged pupils Weakness or fatigue Dizziness or fainting Hypotension Changes in mental status or behavior, such as anxiousness or agitation Ref Davidson 23rd edition pg 345